Which of the following markers indicates an increased risk of recurrent carcinoma breast?
1. CA 125
2. CA 19-9
3. CA 27-29
4. PSA

Correct answer: 3. CA 27-29

Explanation: Cancer antigen 27-29 (CA 27-29) is used to predict early recurrence of disease in women with treated carcinoma of the breast. Cancer antigen 27-29 (or CA 27-29) is an epitope of a large transmembrane mucin glycoprotein named MUC1 that is expressed on the apical surfaces of most glandular epithelia.This protein, also known as polymorphic epithelial mucin or epithelial membrane antigen, has a large extracellular region, a transmembrane sequence, and a cytosolic domain. CA 27-29 represents a sequence of mucins on the extracellular region of this glycoprotein.